Hemoproteins are all EXCEPT:
1. Cytochrome P450
2. Catalase
3. Myoglobin
4. Elastin

Correct answer: 4. Elastin

Explanation: Elastin is a highly elastic protein in connective tissue and allows many tissues in the body to resume their shape after stretching or contracting. All others are hemoproteins. Hemoproteins are chromoproteins which carry heme as the prosthetic group ,is a red coloured pigment found in these proteins Some important human & animal hemoproteins Protein Function Hemoglobin Transport of oxygen in blood Myoglobin Storage of oxygen in muscle Cytochrome Involvement in electron transport chain Cytochrome P 450 Hydroxylation of xenobiotics Catalase Degradation of Hydrogen Peroxide Tryptophan Pyrrolase Oxidation of Tryptophan Peroxidase Oxidative enzyme